Oxaloacetate is formed from:
1. Proline
2. Histidine and arginine
3. Glutamate and glutamine
4. Aspartate and asparagine

Correct answer: 4. Aspartate and asparagine

Explanation: Ans. D. Aspartate and asparagine